Mrs. Neena noted an abdominal mass in It side of her 6 mth. old child. Which showed calcification near the left kidney. what will be the cause -
1. Leukemia
2. Neuroblastoma
3. Renal cell carcinoma
4. Lymphoma

Correct answer: 2. Neuroblastoma

Explanation: Ans. is 'b' ie. Neuroblastoma Neuroblastoma is the most common solid tumor of infancy and childhood* and 3/4 of pt present with an abdominal mass. Plain x-ray shows fine, stippled calicification in 50 percent of the cases. More about Neuroblastoma Neuroblastoma is malignant tumor of neural crest origin*, arising from the sympathetic nervous tissue from the orbit to the pelvis. Age - It occurs chiefly in very young children median age is 2 years. It is the most common solid tumor of infancy and most common tumor in newborn. * MC intrabdominal tumor in children. M.C. site is -----Adrenal medulla* 90% of pts. have increased catecholamine* secretion which can be identified by increased urinary levels of metanephrine and vanillylmandelic acid. Clinical evidence of catecholamine excess is however rare. Excessive VIP secretion presents with Hypokalemic watery diarrhoea* syndrome. Hematogenous metastasis occurs very early. Orbital metastasis* may present with proptosis, periorbital ecchymosis.